Sudden cardiac death may occur in all of the following except :
1. Dilated cardiomyopathy
2. Hypertrophic cardiomyopathy
3. Eisenmenger's syndrome
4. Ventricular septal defect

Correct answer: 4. Ventricular septal defect

Explanation: Answer is D (Ventricular septal defect) Amongst the options provided ventricular septal defect is the least likely diagnosis to result in sudden cardiac death. Hypertrophic and Dilated Cardiomyopathy : The cardiomyopathies (Hypertrophic and Dilated) are the second most common category of diseases associated with risk of 'Sudden cardiac death'.- Harrison 16th/1620 Eisenmenger's Syndrome : "Most patients with the Eisenmenger's syndrome die of 'sudden cardiac death', probably from a ventricular arrythmia." Ventricular septal defect : The occurance of sudden cardiac death in cases of isolated ventricular septal defect has not been emphasized in literature. Sudden death may probably be seen in early childhood but only isolated case reports have been documented. VSD therefore is the least likely diagnosis and hence the answer of exclusion.